UV radiation has which of the following effects on the cells
1. UV radiation has which of the following effects on the cells
2. Stimulates formation of pyrimidine dimers
3. Prevents formation of purine dimers
4. All of the above

Correct answer: 2. Stimulates formation of pyrimidine dimers

Explanation: Direct quote from Robbins.. “The carcinogenicity of UV-B light is attributed to its formation of pyrimidine dimers in DNA”. This type of DNA damage is repaired by the nucleotide excision repair pathway. The importance of the nucleotide
excision repair pathway of DNA repair is illustrated by the high frequency of cancers in individuals with the hereditary disorder xeroderma pigmentosum..